Read the following statements regarding autopsy techniques 1) Small intestine is opened along the ante- mesenteric border 2) Large intestines are opened along anterior taenia
1. Both are true
2. Both are false
3. 1 is true, 2 is false
4. 2 is true, 1 is false

Correct answer: 4. 2 is true, 1 is false

Explanation: - Small intestine is opened along the mesenteric border - Large intestines are opened along anterior taenia - To rule out congestion, inflammation, erosion, ulcers, perforation, etc. The contents are also examined